Meig's syndrome consists of all Except
1. Ascites
2. Hydrothorax
3. Benign ovarian tumour
4. Malignant ovarian tumour

Correct answer: 4. Malignant ovarian tumour

Explanation: Rarely Ascites and pleural effusion are associated with solid fibromas of the ovary (Meigs' syndrome). The effusions disappear when the tumour is excised. Meig's syndrome consists of Ascites Pleural effusion Fibromas of ovary Ref: Bailey and love 27th edition Pgno : 1058